Nerve supply of palatoglossus muscle is:
1. Hypoglossal nerve
2. Facial nerve.
3. Accessory nerve.
4. Glossopharyngeal nerve.

Correct answer: 3. Accessory nerve.